A 40-year male patient who is a known smoker presents with fever, fatigue and complete aversion to cigarette smoking. On examination he has icterus with an enlarged tender liver. LFT shows Total bilirubin 17.5 mg% Direct bilirubin 5.5 mg% SGOT 700 IU SGPT 900 IU What investigations will you do for ruling out acute viral hepatitis?
1. HBsAg, IgM anti HBc, Anti HCV, Anti HEV
2. Anti HAV, HBsAg, IgM Anti HBc, Anti HCV
3. HBAg, IgM anti HBc, Anti HDV, Anti HCV, Anti HEV
4. Anti HAV, IgM anti HBc, ANti HCV, Anti HEV

Correct answer: 2. Anti HAV, HBsAg, IgM Anti HBc, Anti HCV

Explanation: LFT report shows elevated bilirubin with conjugated bilirubin >15% of total serum bilirubin. SGOT and SGPT elevation indicates cytopathic effect of probably a virus. For diagnosis of acute viral hepatitis four serological tests should be performed. These are: 1. HbsAg 2. IgM Anti- HBc 3. IgM Anti- HAV 4. Anti- HCV Absence of all of these serological markers is consistent with diagnosis of non-A, non-B and non-C hepatitis. Presence of positive test for only Anti- HCV confirms the diagnosis of acute hepatitis C.